Pneumonia alba is due to -
1. Klebsiella
2. Streptococci
3. Treponema pallidum
4. Staphylococci

Correct answer: 3. Treponema pallidum